Diplopia is usually seen in ?
1. Paralytic squint
2. Non-paralytic squint
3. Both of the above
4. None of the above

Correct answer: 1. Paralytic squint

Explanation: Ans. is 'a' i.e., Paralytic squint